A person working in hot environment who consumes more water without salt is likely to develop a condition called -
1. Heat stroke
2. Heat exhaustion
3. Heat cramps
4. Heat hyperpyrexia

Correct answer: 3. Heat cramps

Explanation: Heat cramp occurs in persons who are doing heavy muscular work in high temperature and humidity. The cause of heat cramps is the loss of sodium and chloride in the blood. Park's Textbook of Preventive and Social Medicine, 25th edition, Page No. 808